Which of the following best estimates the amount of radiation delivered to an organ in the radiation field?
1. Absorbed dose
2. Equivalent dose
3. Effective dose
4. Exposure dose

Correct answer: 1. Absorbed dose

Explanation: Absorbed dose refers to the quantity of total energy per unit mass of matter that is absorbed from ionizing radiation. Unit for absorbed dose is gray(Gy). Ref: Radiation Protection in Educational Institutions By National Council on Radiation Protection and Measurements; Operational Health Physics, National Council on Radiation Protection and Measurements, Page 12, 13